Vaginal smear in an old lady shows:
1. Atropic cells
2. Basal and parabasal cells
3. Superficial cells
4. Few intermediate cells

Correct answer: 2. Basal and parabasal cells

Explanation: Maturation index of Vaginal cellsIt is a ratio of vaginal cellsThree major cell typesBasal and Parabasal cells: Least mature cells; Not influenced by hormonesIntermediate cells: Progesterone influences the maturation Superficial cells: Most matured cells; Estrogen affects the maturity Cell counts are expressed as a percentage; Basal/Intermediate/SuperficialUsed for hormonal evaluationPredominance of parabasal cells indicates absence of estrogen stimulationPredominance of Superfical cells indicates estrogen presenceMaturation index examplesMenstrual cycleProliferative phase: 0/40/60Secretory phase: 0/70/30Pregnancy: 0/90/10Menopause: 100/0/0Ref: D.C. Dutta's Textbook of Gynaecology, 6th edition, page no: 58